Cytosolic cytochrome-C is associated with:
1. Cell division
2. Apoptosis
3. Cell necrosis
4. Electron transports

Correct answer: 2. Apoptosis